If dentures are cleaned in boiling water they:
1. Become sticky
2. Warp
3. Melt
4. Galvanize

Correct answer: 2. Warp